Earliest sign of raised intracranial tension is in skull X-ray of infants is:
1. Sutural diastasis
2. Erosion of dorsum sella
3. Pineal gland displacement
4. Copper beaten appearance

Correct answer: 1. Sutural diastasis

Explanation: Ref: Multiple Internet SourcesExplanation:Acute Raise in lntra cranial Tension in Infants Sutural DiastasisChronic Raise in lntra cranial Tension in InfantsCopper heating' of the skull vault. Copper beaten" skull refers to the prominent convolutional markings seen in multiple bones of the skullEnhanced digital markings are not uncommon under the age of 30 but may indicate longstanding raised intracranial pressure if present over the w hole vault. Aka copper beater or silver beaten appearance of skullLong-standing/chronic raised intracranial pressure causes erosion of the dorsum sellaeThe dorsum sellae erosion/J shaped Sella CausesNormal variant in 5% childrenHypothyroidismSlowly growing parasellar tumor: Optic gliomaMucopolysaccharidoses: esp in Hurler syndromeMild arrested hydrocephalusHajdu-Cheney syndromeLong standing Raised ICTPineal gland displacementBrain TumorHead injury